Which cranial nerve is attached to dorsal surface of brainstem -
1. Facial
2. Trigeminal
3. Trochlear
4. Abducent

Correct answer: 3. Trochlear

Explanation: Ans. is 'c' i.e., Trochlear o Repeat from previous sessions.